Oxytocin causes all except:
1. Lactogenesis
2. Milk ejection
3. Contraction of uterine muscle
4. Myoepithelial cell contraction

Correct answer: 1. Lactogenesis

Explanation: Ans. (A) Lactogenesis(Ref: Katzung 11/e p657; KDT 8/e p355)Important actions of oxytocin are:Contraction of uterine smooth muscle (directly by acting on GPCR and indirectly by release of PG and LTs).Milk ejection by contraction of myoepithelial cells surrounding mammary alveoli.At high concentration; anti-diuretic and vasopressor action can be seen.Note: Lactogenesis is the action of prolactin (not oxytocin)